Professional death in medical profession is ?
1. Death of doctor
2. Death sentence ordered by judge
3. Death during police firing
4. Removal of name of doctor from panel of RMP

Correct answer: 4. Removal of name of doctor from panel of RMP

Explanation: Ans. is 'd' i.e., Removal of name of doctor from panel of RMP MCI maintains medical register (Indian medical register) of medical practitioners. The registrar should keep the register up to date by :? A.Deleting names of (Erasure of name) : (i) Those dead, (ii) Those awarded penal erasure (professional death sentence) for professional misconduct, (iii) Enteries made in error or fraud. B.Adding names of : (1) Fresh graduates, (ii) Whose term of temporary erasure expires.